Presence of islands of undifferentiated mesenchyme, often with cartilage, and immature collecting ducts on light microscopy will be seen in which cystic disease of kidney?
1. Medullary sponge kidney
2. Autosomal recessive polycystic kidney disease (ARPKD)
3. Autosomal dominant polycystic kidney disease (ADPKD)
4. Multicystic renal dysplasia

Correct answer: 4. Multicystic renal dysplasia

Explanation: Multicystic renal dysplasia Sporadic disorder that can be unilateral or bilateral and is often cystic. The kidney is usually enlarged, extremely irregular, and multicystic. Although normal nephrons are present, many have immature collecting ducts. The characteristic histologic feature is the presence of islands of undifferentiated mesenchyme, often with cartilage, and immature collecting ducts.